Pancreatic juice becomes thick if it has impaired
1. Na secretion
2. Cl- secretion
3. Na+ H+ exchange
4. H+ secretion

Correct answer: 2. Cl- secretion

Explanation: As the volume of pancreatic secretion increases, its Cl- concentration falls and its HCO3- concentration increases.The magnitude of the exchange is inversely proportionate to the rate of flow.In cystic fibrosis where this exchange mechanism is lost, pancreatic secretions become dehydrated and thickenedREF: GANONG'S REVIEW OF MEDICAL PHYSIOLOGY, TWENTY-THIRD EDITION, PAGE NO:435,436